The following ocular structure is not derived from surface ectoderm
1. Crystalline lens
2. Sclera
3. Corneal epithelium
4. Epithelium of lacrimal glands

Correct answer: 2. Sclera

Explanation: The ocular structure derived from surface ectoderm are The crystalline lens The epithelium of the cornea The epithelium of the conjunctiva Lacrimal gland The epithelium of the eyelids & its derivatives, .viz cilia, tarsal gland & conjunctival glands The epithelium lining the lacrimal apparatus The sclera is derived from the associated paraxial mesenchyme. Reference: